Sharp waste should be disposed in
1. Black bags
2. Yellow bags
3. White bags
4. Red bags

Correct answer: 3. White bags

Explanation: Sharps include needles, infusion sets, scalpels, knives, blades and broken glassSharps belongs to category 4 of bio-medical waste in IndiaColor codingType of containerWaste categoryTreatment optionsYellowPlastic bagCat 1, 2, 3 & 6Incineration/deep burialRedDisinfected container/plastic bagCat 3, 6 & 7Autoclaving/Microwaving/Chemical treatmentBlue/White translucentPlastic bag/Puncture proof containerCat 4 & 7Autoclaving/Microwaving/Chemical treatment and Destruction/ShreddingBlackPlastic bagCat 5, 9 & 10 Disposal in secured landfillRef: Park; 23rd ed; Pg 794